A 40-year old diabetic patient presents with proptosis of one eye and black eschar over palate. The likely organism is :
1. Pseudomonas
2. Candida
3. E. coli
4. Mucor

Correct answer: 4. Mucor